`Duret Hemorrhages' are seen in :
1. Brain
2. Kidney
3. Heart
4. Lung

Correct answer: 1. Brain

Explanation: Answer is A (Brain): The term `Duret Hemorrhage' is used for all secondary mechanically induced hemorrhages within the brainstem Duret Hemorrhages Duret hemorrhages refer to secondary mechanically induced hemorrhages within the brainstem They are believed to result from damage to perforating branches of the basilar artery as a result of mechanical injury during trans-tentorial herniation of brainstem Duret hemorrhages are usually found in the ventral and paramedian upper brainstem (mesencephalon & pons) after transtentorial and subfalcine herniations due to supra-tentorial mass lesions During transtentorial herniations when the uncus slides under the tentorium, the midbrain is stretched. This ruptures small perforating vessels and produces hemorrhages. Duret hemorrhages are typically diagnosed on CT scan on MRI of the brain (as midline lesions) and carry a poor prognosis.